The best way to help a frightened child to overcome his
fear:
1. Identify the fear
2. Ignore the fear
3. Ridicule the frightened child
4. Divert the patients attention

Correct answer: 1. Identify the fear